Battle's sign is:
1. Hemorrhage around eyes
2. Mastoid ecchymosis
3. Umbilical ecchymosis
4. Vaginal ecchymosis

Correct answer: 2. Mastoid ecchymosis

Explanation: Ans. Mastoid ecchymosis